Investigation of choice for High-risk breast cancer in female is
1. MRI
2. CT-PET
3. Mammography
4. USG

Correct answer: 1. MRI

Explanation: Magnetic resonance imaging (MRI) of the breast is useful in a number of settings:To distinguish scar from recurrence in women who have had previous breast conservation therapy for cancer (although it is less accurate within 9 months of radiotherapy because of abnormal enhancement).To assess multifocality and multicentricity in lobular cancer and to assess the extent of high-grade ductal carcinoma in situ (DCIS). It is less useful in low-grade DCIS.It is the best imaging modality for the breasts of women with implants.As a screening tool for high-risk women (because of family history).Ref: Bailey and Love, 27e, page: 862